Yoke muscle of right superior oblique is -
1. Left Inferior rectus
2. Left Superior rectus
3. Left Inferior Oblique
4. Left Lateral Rectus

Correct answer: 1. Left Inferior rectus

Explanation: Ans. is 'a' i.e., Left Inferior rectus * Yoke muscles (contralateral synergists):# It refers to the pair of muscles (one from each eye) which contract simultaneously during version movements.# For example, right lateral rectus and left medial rectus act as yoke muscles for dextroversion movements. Other pair of yoke mscles are: right MR and left LR, right LR and Left MR, right SR and left IO, right IR and left SO, right SO and left IR, and right IO and Left SR.